Casper's dictum is related to
1. Rate of putrefaction
2. Floatation of a dead body
3. Calculation of time since death
4. Identification of dead body

Correct answer: 1. Rate of putrefaction

Explanation: PUTREFACTION IN WATER Casper dictum: It states that a body decomposes in air twice as rapidly as in water, and eight times as rapidly as in earth. The rate of putrefaction is slower in water than in air. Putrefaction is more rapid in warm, fresh water than in cold, salt water. It is more rapid in stagnant water than in running water. Putrefaction is delayed when a body is lying in deep water and is well protected by clothing, while it is rapid in a body lying in water contaminated with sewage. As the submerged cadavers float face down with the head lower than the trunk, gaseous distension and postmortem discolouration are first seen on the face and then spread to the neck, upper extremities, chest, abdomen and the lower extremities in that order. Fluid gravitation in the head favours marked decomposition. When the body is removed from the water, putrefaction is hastened as the tissues have absorbed much water. Ref:- k s narayan reddy; pg num:-170